All are true about the striae of retzius except
1. Constitute the rest lines with in the enamel rods
2. Have high inorganic content
3. They are areas of increased porosity
4. Allow the movement of water and small ions

Correct answer: 2. Have high inorganic content